One intern calculated the concentration of 02 in blood as 0.0025 ml/m1 of blood. Considering atmospheric pressure as 760mmHg, how much approx. 02 tension could have been in the blood ?
1. 40mmHg
2. 60mmHg
3. 80mmHg
4. 100mmHg

Correct answer: 3. 80mmHg

Explanation: C i.e. 80 mm Hg